Pisiform bone articulates with
1. Triquetral
2. Lunate
3. Scaphoid
4. Trapezoid

Correct answer: 1. Triquetral

Explanation: Pisiform articulates only with Triquetral. Triquetral articulates with Pisiform, lunate, hamate and articular disc of Inferior radioulnar joint. B D Chaurasia 7th edition Page no: 27